Chromosome associated with autosomal dominant PCKD
1. 6 and 14
2. 12 and 14
3. 4 and 16
4. 12 and 16

Correct answer: 3. 4 and 16

Explanation: PKD1 gene → Chromosome 16.
PKD2 gene → Chromosome 4.